Other measures to record periodontal inflammation
1. Periotemp
2. Perioscan
3. Periostat
4. None of the above

Correct answer: 1. Periotemp